Which subtype of human papilloma virus has maximum chances of causing carcinoma cervix:
1. HPV 16 and 18
2. HPV 6 and 11
3. HPV 31 and 32
4. HPV 1 and 2

Correct answer: 1. HPV 16 and 18

Explanation: Ans. A i.e. HPV 16 and 18